Most common site of ectopic pancreas is ?
1. Stomach
2. Appendix
3. Meckel diverticula
4. ileum

Correct answer: 1. Stomach

Explanation: Islands of ectopic pancreatic tissue can be found in the sub mucosa in parts of the stomach,duodenum or small intestine(including meckel's diverticulum),gall bladder ,adjoining the pancreas, in the hilum of spleen and within liver Bailey & Love ,26th,1125.